Which of the following is not a good prognosis?
1. Proximal lesion
2. Only motor involvement
3. Only sensory involvement
4. Neuropraxia

Correct answer: 1. Proximal lesion

Explanation: GOOD NERVE G- growing age/good repair O-only motor involvement O- only sensory involvement D- distal lesion N- Neuropraxia E- early repair R - radial nerve injury V- vascularity maintained E- end to end repair